Judge can ask questions:
1. During cross-examination
2. Examination-in-Chief
3. Any time during trial
4. Re-examination

Correct answer: 3. Any time during trial

Explanation: Ans. Any time during trial